Not found in cerebral palsy is _________
1. Hypotonia
2. Microcephaly
3. Ataxia
4. Flaccid paralysis

Correct answer: 4. Flaccid paralysis

Explanation: Signs and Symptoms of Cerebral Palsy Low muscle tone (baby feels 'floppy' when picked up) Unable to hold up his/her own head while lying on their stomach or in a supported sitting position. Muscle spasms or feeling stiff. Poor muscle control, reflexes and posture. Delayed development (can't sit up or independently roll over by 6 months) Reference: GHAI Essential pediatrics, 8th edition